A 10 year old boy is brought to the neurology clinic with the complaint of gelastic seizures and early onset of puberty. On examination, no focal neurological deficit was seen. NCCT revealed a nodule of soft tissue density in hypothalamic region. CEMRI was performed to characterize the lesion . Most probable diagnosis is?
1. hypothalamic astrocytoma
2. hypothalamic hamartoma
3. craniopharyngioma
4. germinoma

Correct answer: 2. hypothalamic hamartoma

Explanation: Hypothalamic hamartomas, also known as tuber cinereum hamartomas, are benign non-neoplastic heterotopias in the brain that typically occur in the region of the hypothalamus, arising from the tuber cinereum, a part of the hypothalamus located between the mammillary bodies and the optic chiasm. The tuber cinerium and left mamillary body show a small solid mass lesion with isointense T1, slightly hyperintense T2 signal. The lesion shows no significant post-contrast enhancement. Hypothalamic hamartoma- do not enhance after contrast administration, if enhancement occur, always consider a glial tumour.